3. Drug used in the Pseudomonas treatment
1. Cefixime
2. Ceftazidime
3. Ampicillin
4. Cotrimoxazole

Correct answer: 2. Ceftazidime

Explanation: Psedomonas is inherently resistant to most of the antibiotics. Cephalosporins such as ceftazidime ,cefoperazone, ceftolozane and cefepime are used to treat it